Which RNA has splicing activity
1. m RNA
2. mi RNA
3. r RNA
4. sn RNA

Correct answer: 4. sn RNA

Explanation: sn RNA (small nuclear RNA) acts as Ribozyme. (RNA with enzymatic activity) It has splicing activity and is involved in mRNA processing.